Atropine when used as a pre-medication causes all of the following symptoms except -
1. Skin flush
2. Bronchoconstriction
3. Prevents bradycardia
4. Dryness of mouth

Correct answer: 2. Bronchoconstriction

Explanation: Ans. is 'b' i.e., Bronchoconstriction Atropine causes bronchodilation.